In a patient with NIDDM which of the following condition is seen
1. Ketosis commonly occurs on stopping treatment.
2. Hypertriglyceridmia never occurs
3. Pancreatic beta cells stop producing insulin
4. There are increased levels of insulin in blood

Correct answer: 4. There are increased levels of insulin in blood